True statement about weakly basic drugs is:
1. These are bound primarily to plasma albumin
2. These are excreted faster in acidic urine
3. Are highly ionized in the intestinal juice
4. These are absorbed mainly from stomach

Correct answer: 2. These are excreted faster in acidic urine

Explanation: Acidic drugs bind to plasma albumin whereas basic drugs to alpha-1 acid glycoprotein. Acidic drugs are excreted faster in alkaline urine whereas basic drugs in acidic urine. Acidic drugs are ionized in alkaline medium (as in intestine) whereas basic drugs are ionized in acidic medium (as in stomach) Non-ionized drugs can cross the membrane and can be absorbed.